Gorlins formula is used to calculate
1. Area of stenotic aortic valve
2. Amount of daily calorie intake
3. Body mass index
4. Basal metabolic rate

Correct answer: 1. Area of stenotic aortic valve

Explanation: Answer-A. Area of stenotic aortic valveThe stenotic valve orifice are is derived fromthe pressure gradient and cardiac output with the formula developed by Gorlin and Gorlin, which involves the fundamental hydraulic relationships, linking the a.ea of an orifice to the flow and pressure drop across the orifice.